All action occur in mitosis EXCEPT
1. Cytokinesis
2. Chromatids separate
3. DNA replication
4. The kinetochore becomes evident

Correct answer: 3. DNA replication

Explanation: DNA replication or DNA synthesis occurs during the S phase of the cell cycle. G1 S, and G2 make up interphase. Mitosis completes the cell cycle and is composed of prophase, metaphase, anaphase, and telophase. Cytokinesis is the division of the cell cytoplasm that occurs in telophase and is orchestrated by the microfilaments. Chromatids separate and move toward the poles of the cell in anaphase. The nuclear membrane and nucleolus disappear during metaphase.